An infant with a past history of ear infection is suspected to have meningitis. Organism commonly responsible for such a presentation would be:
1. Haemophilus influenzae
2. Moraxella catarrhalis
3. Pseudomonas
4. Streptococcus pneumoniae

Correct answer: 4. Streptococcus pneumoniae

Explanation: Meningitis is the most common intracranial complication of otitis media Most common organism causing acute suppurative otitis media in infants & young children are streptococcus pneumonia (30%), Haemophilus influenza (20%) and Moraxella catarrhalis (12%).